Barbed broach is used for:
1. Extirpation of pulp
2. Enlargement of canal
3. Obturation of canals
4. All of the above

Correct answer: 1. Extirpation of pulp